Hippocampus lesion affects:
1. Implicit memory
2. Procedural memory
3. Non-declarative memory
4. Explicit memory

Correct answer: 4. Explicit memory

Explanation: Answer is D (Explicit memory): Hippocampal lesions primarily affect Declarative or Explicit memory. The Hippocampus is essential to forming new memories for facts and general information (sementic memory) and also for life experiences (episodic memory). But the hippocampus does not appear to play a role in precedural memory, the kind of memory we draw upon while riding bike or using a tool Classification of Memory Based on Anatomy of Temporal Lobe system (Hippocampus) Declarative Memory or Explicit Memory (Episodic/Sementic Memory) Declarative memory also known as Explicit memory, is memory of events, places, facts and people and is dependent on the temporal lobe system (Hipppcampus) Declarative memory can be further divided into two classes. Episodic memory Sementic memory Refers to memory of Refers to memory or facts episodic events that that are no longer contain 'what"where' ascribable to any particular `when' information occasion in life Lesions of the temporal lobe such as hippocampus are known to greatly impair patient's ability to learn new facts, concepts, vacobulary and knowledge about the world. Non-Declarative Memory or Implicit Memory (Procedural memory) Non-Declarative memory is also known as procedural memory and does not depend on the structural integrity of the temporal lobe system. Non-Declarative memory encompasses a variety of perceptual motor learning skills and mental operations Currently the brain regions involved in encoding procedural memory are not clear, atleast in humans (striatum may be engaged)